The type of estrogen found in highest concentration in adult female is
1. Estrone
2. Estriol
3. Estradiol
4. None

Correct answer: 3. Estradiol

Explanation: b-Estradiol; 17b-estradiol; the most potent naturally occurring estrogen in mammals, formed by the ovary, placenta, testis, and possibly the adrenal cortex; therapeutic indications for estradiol are those typical of an estrogen. a-Estradiol (17a-estradiol), exhibits considerably less biologic activity.Ref: Ganong's review of medical physiology; 24th edition; page no: 406